The only one flexible minor connector is
1. that connecting clasp assembly to major connector
2. that connecting indirect retainer assembly to the major connector
3. that joining the denture base to major connector
4. that approach arm of a bar type clasp

Correct answer: 4. that approach arm of a bar type clasp